Following is true about attack rate EXCEPT
1. It is a type of prevalence rate
2. Expressed as percentage
3. Reflects extent of epidemic
4. Total population at risk is taken as denominator

Correct answer: 1. It is a type of prevalence rate

Explanation: An attack rate is an incidence rate (usually expressed as a percent), used only when the population is exposed to risk for a limited period of time such as during an epidemic. It reflects the extent of an epidemic. Attack rate = Number of new cases of a specified disease during a specified interval / Total population at risk during the same interval x 100 Ref : Park 23rd edition Pgno : 131